A child has an extreme open bite only the most posterior teeth contact in the opposite arch. The best procedure for dentist would be to
1. Refer the child to an orthodontist for treatment
2. Remove the posterior teeth in each quadrant
3. Make an overlay denture to create occlusion
4. Place bands on the teeth and place elastics to close the bite

Correct answer: 1. Refer the child to an orthodontist for treatment